Resin tags that form between enamel rod peripheries are called?
1. Microtags
2. Hybrid tags
3. Megatags
4. Macrotags

Correct answer: 4. Macrotags

Explanation: Enamel bonding depends on resin tags becoming interlocked with surface irregularities created by etching.
Tags that form between enamel rod peripheries are called MACROTAGS.
A finer network of many smaller tags form across the end of each rod called MICROTAGS. They are more important because, they are larger in number and also they offer more surface area.